The afferent fibers which are most sensitive to local anesthetic belong to group
1. A
2. B
3. C
4. D

Correct answer: 3. C